The bad prognostic factors of schizophrenia include
1. Age 18 yrs
2. Age 40 yrs
3. Sudden onset
4. Female

Correct answer: 1. Age 18 yrs

Explanation: Age below 18years early age of onset, poor compliance to medications, poor insight, poor knowledge, attitude and practice among family members, expressed emotions among family members , male gender, insidious onset of illness , simple and hebephrenic type of schizophrenia are usually bad prognostic factors for schizophrenia Ref: Essentials of postgraduate psychiatry By JN Vyas 1st ed Pg: 370